Sinusoids are seen in all of the following except -
1. Liver
2. Kidney
3. Lymph nodes
4. Spleen

Correct answer: 2. Kidney

Explanation: Sinusoids are present in liver, spleen, lymph nodes, endocrine glands (adrenal medulla, parathyroid), bone marrow and carotid body.